The specific test for Treponema pallidum is
1. VDRL
2. Kahn's test
3. TPHA
4. Widal test

Correct answer: 3. TPHA